Miyagawa granulocorpusles bodies are seen in:
1. Lymphogranuloma venereum (LGV)
2. Chvlamydia pneumonia
3. Mycoplasma
4. Chlamydia trachomatosis

Correct answer: 1. Lymphogranuloma venereum (LGV)

Explanation: Ref: Ananthanarayan, Paniker CJ. Textbook of Microbiology. 6th Ed. London: John Wiley & Sons: 2000. & Gillespie SH. Hawkey PM. Principles and Practice of Clinical Bacteriology. 2nd Ed. London: John Wiley & Sons: 2006.Explanation:Some important structures to be remembered are:Miyagawa's g ranulocorpusclesLGVDonovan bodiesGranuloma InguinaleHaiberstaedter- Prowazek BodiesTrachomaBabes- Ernst, volutin granulesC. diphtheriaeLevinthai Cole Lillie bodiesPsittacosis.Citron bodiesClostridium septicumMooser bodiesEndemic typhus